For making temporary restorations, the impression material preferred is:
1. Alginate
2. Polyvinyl siloxane
3. Both
4. None of the above

Correct answer: 3. Both

Explanation: The technique involves making a preoperative impression with elastic impression material. Alginate impression materials may be used and are relatively inexpensive. The preoperative impression may be made with polyvinyl siloxane (PVS) impression material, if additional accuracy, stability and durability are required.
Sturdevant operative dentistry 7th Edition, Page No:120